Tinea ungum involves:
1. Hands
2. Nails
3. Palm
4. Foot

Correct answer: 2. Nails

Explanation: Ans: B (Nalls) TINEA UNGUIUM(T1NEA OF NAILS) Neena Khanna 4th/286It is dermatophyte infections of nailsTinea of toe nail is more frequent than that of Finger nails & may be associated with tinea pedisTinea of finger nails is associated with dermatophytic infection of other parts of the body e,g tinea cruris